Most radiosensitive tumor among following is -
1. Bronchogenic carcinoma
2. Parotid carcinoma
3. Dysgerminoma
4. Osteogenic sarcoma

Correct answer: 3. Dysgerminoma

Explanation: Ans. is 'c' i.e., Dysgerminoma Radiosensitivity of different tumors Highly sensitiveModerately sensitiveRelative resistantHighly resistanto Lymphomao Seminomao Multiple myelomao Ewing's sarcomao Wilms tumoro Dysgerminomao Small cell carcinoma of lungo Breast cancero Basal cell carcinomao Medulloblastomao Teratomao Ovarian cancero Nasopharyngeal carcinomao Squamous cell carcinoma of lungo Renal cell carcinomao Rectal carcinomao Colon carcinomao Bladder carcinomao Soft tissue sarcomao Cervical carcinomao Melanomao Osteosarcomao Pancreatic cancero Hepatic carcinoma